Best prognosis in never injury
1. Neuropraxia
2. Axonotmesis
3. Neurotmesis
4. Complete transaction

Correct answer: 1. Neuropraxia

Explanation: Ans. (a) Neuropraxia(Ref: Maheshwari, orthopedics/p.60)Neuropraxia#Nerve in continuity#Due to compression or ischemia#Only local conduction block seen#Spontaneous recovery in minutes (best prognosis)